What is the emergent management of tension pneumothorax?
1. Chest X-ray
2. Emergency room thoracotomy if unstable
3. Immediate needle thoracostomy in 2nd intercostal space
4. Tube thoracostomy in 5th ICS

Correct answer: 3. Immediate needle thoracostomy in 2nd intercostal space

Explanation: Tension pneumothorax is a medical emergency.In case of tension pneumothorax,immediate release of the positive pressure by insertion of a large-bore needle into the pleural space through the second anterior intercostal space is beneficial.If the tension is not relieved,the patient is likely to die from inadequate cardiac output, or marked hypoxaemia. Harrison's medicine-18th edition,page no:2181.